Drug of choice for central diabetes insipidus -
1. Vasopressin
2. Desmopressin
3. Lypressin
4. Presselin

Correct answer: 2. Desmopressin

Explanation: Ans. is 'b' i.e., Desmopressin o Desmopressin (intranasal) is the DOC for central DI.Uses of vasopressine analogue|||Based on V2 action (Desmopressin is the DOC)Based on V1 actiono Central (neurogenic) diabetes insipiduso Nocturnal enuresiso Renal concentration testo Haemophilia, von willebrand's diseaseo Bleeding esophageas variceso Before abdominal radiography